Stereotactic radiosurgery is done for -
1. Glioblastoma multiforme
2. Medulloblastoma spinal cord
3. Ependymoma
4. AV malformation of brain

Correct answer: 4. AV malformation of brain

Explanation: Ans. is 'd' i.e., AV malformation of brain It is also used for intracranial Schwannomas and Meningiomas.